If the axial length of the eyeball is changed by 1 mm then the power changes by –
1. 1 diopter
2. 2D
3. 3D
4. 4D

Correct answer: 3. 3D

Explanation: 1 mm change in axial length leads to ametropia of 3D.